Vegetations on under surface of cusps are found in:
1. Infective endocarditis
2. Libman sacks endocaditis
3. SABE
4. Rheumatic fever

Correct answer: 2. Libman sacks endocaditis

Explanation: Vegetations in Libmann sacks endocarditis occur on surfaces of cusps.Both surfaces may be involved but more commonly the undersurface is affected .(ref Robbins 7th/597,89,9/e p558)